Lancefield grouping of streptococci is done by using
1. M Protein
2. Group C peptidoglycan cell wall
3. Group C carbohydrate antigen
4. Staining properties

Correct answer: 3. Group C carbohydrate antigen

Explanation: Hemolytic streptococci were classified by Lancefield serologically into groups based on the nature of a carbohydrate (C) antigen on the cell wall. These are known as Lancefield groups, twenty of which have been identified so far and named A-V (without I and J). Reference: Textbook of Microbiology; Anathanarayan and paniker's; 10th edition; Page no: 211